Symptoms of narcolepsy are all except
1. Cataplexy
2. Catalepsy
3. Daytime sleepiness
4. hypnagogic hallucinations

Correct answer: 2. Catalepsy

Explanation: NarcolepsyThe classic tetrad of symptoms is:i. Sleep attacks (most common): ii. Cataplexy: iii. Hypnagogic hallucinations: iv. Sleep paralysis (least common): Ref: A Short Textbook of Psychiatry, Niraj Ahuja, 7th Edition, pg. no. 138